Neutral molecules are transported by:
1. Porin channels
2. Ionophores
3. Simple diffusion
4. None of the above

Correct answer: 3. Simple diffusion

Explanation: Absence of charge over molecules (Uncharged/Neutral molecules) favours their transport by simple diffusion. Small neutral molecules are usually transported freely across plasma membranes by simple diffusion. Ref: Ganong's Review of Medical Physiology, 22nd Edition, Page 31; Biochemistry By Mary K. Campbell, Shawn O. Farrell, 7th Edition, Page 209; Harper's Textbook of Biochemistry, 27th Edition, Pages 108, 424, 433